Hardness of water is said to be beneficial for which disease:
1. Cardiovascular disease
2. Renal disease
3. Diabetes
4. All of the above

Correct answer: 1. Cardiovascular disease

Explanation: Studies have shown an inverse relationship between the hardness of drinking water and the death rate from cardiovascular diseases. Diseases believed to be affected include atherosclerotic heart disease, hypertension, sudden deaths of cardiovascular origins etc. Ref: Park 21st edition, page: 672.